Grade III malnutrition according to TAP is –
1. 50%
2. 51–60 %
3. 61–80%
4. 81–100%

Correct answer: 2. 51–60 %

Explanation: Indian Academy of paediatrics (IAP) classification of malnutrition is based on weight for age.
IAP designates a weight of more than 80% of expected for age as normal.
Grades of malnutrition are -
Grade I → 71-80%
Grade II → 61-70%
Grade III → 51-61%
Grade IV → ≤ 50%